All of the following statements are true about Congenital Rubella, EXCEPT:
1. It is diagnosed when the infant has IgM antibodies at birth
2. It is diagnosed when IgG antibodies persist from more than 6 months
3. Most common congenital defects are deafness, cardiac malformations and cataract
4. Infection after 16 weeks of gestation results in major congenital defects

Correct answer: 4. Infection after 16 weeks of gestation results in major congenital defects

Explanation: The first trimester of pregnancy is the most disastrous time for the foetus as the organs are developing. Infection in the second trimester may cause deafness but those infected after week 16 suffer no major abnormalities. Ref: Textbook of Obstetrics By Dutta, 6th Edition, Page 299; Park's Textbook Of Preventive And Social Medicine By K. Park, 18th Edition, Page 128